Which are not labile cells-
1. Bone marrow
2. Intestitial mucosa
3. Epithelium of skin
4. Hepatocytes

Correct answer: 4. Hepatocytes

Explanation: Ans is 'd' i.e., Hepatocytes